1)Paul bunnel tests A.Rickettsial Diseases 2)Weil felix reaction B. Infectious mononucleosis 3)Tzank test C. Herpes virus 4)Sabin Feldman dye D. Toxoplasmosis
1. 1-b,2-a, 3-c, 4-d
2. 1-b, 2-c, 3- d, 4-a
3. 1-c, 2-d, 3-a, 4-b
4. 1-d, 2-A 3- b, 4-a

Correct answer: 1. 1-b,2-a, 3-c, 4-d

Explanation: 1Paul bunnel tests A. Infectious mononucleosis 2)Weil felix reaction B. Rickettsial Diseases 3)Tzank test C. Herpes virus 4)Sabin Feldman dye D. Toxoplasmosis Other test VDRL and RPR: Treponema pallidum Microscopic agglutination test: Leptospirosis Standard agglutination test: Brucella Elk's gel precipitation test: Corneybacterium diphtheria Widal test: typhoid Sabin fieldman dye test: Toxoplasmosis